Which of the following is an example of primary social relationship?
1. Husband & wife
2. Author & publisher
3. Both
4. None

Correct answer: 1. Husband & wife

Explanation: Ans. a (Husband & wife). (Ref. Park PSM, 17th/470; Community Medicine by AP Kulkami, 2nd /17) Type of relationshipPhysical condition E.g. of relationshipE.g. of group1Primary(Intimate knowledge of each other)Spatial proximityFriendsFamilySmall numberHusband & wifeVillageLong durationParent & childPlay group2Secondary(Limited knowledge of each other)Spatial distanceShopkeeper & customerCity, officeLarge numberActor & spectatorNationShort durationAuthor & readerRallyGOVERNMENT IN DIFFERENT COUNTRIESDemocracyOf, by, for people India, USAAutocracyRuler absolute in his powerJordan, EthiopiaMonarchyHead of state is monarchUK, NepalSocialisticProduction and wealth are owned & controlled by stateChina, PolandOligarchyCountry ruled by family groupThailand, Combodia, Saudi